Articular cartilage is made up of-
1. Type I collagen
2. Type II collagen
3. Type III collagen
4. Type IV collagen

Correct answer: 2. Type II collagen

Explanation: Ans. is `b' i.e., Type H Collegen type Tissue distributionUbiquitous in hard & soft tissuesII & IX Cartilage, intervertebral disc, vitreousIn Hollow organs & soft tissuesIV Basement membraneV Blood vesselsVI Ubiquitous in microfibrilsVII Dermoepidemal junctionIX Cartilage & VitrousNote : Amongst these type I, II, III, V & IX are fibrillary Interstitial collegen, all others are nonfibrillary collegen.